Which of the following condition presents with purulent urethral discharge
1. Syphilis
2. Chancroid
3. Gonorrhoea
4. Lymphogranuloma venerum

Correct answer: 3. Gonorrhoea

Explanation: Ans. C: Gonorrhoea Symptomatic gonococcal infection in males most commonly manifests as anterior urethritis which presents as painful micturition; urethral discharge, which is purulent, profuse, thick and creamy and redness and edema od urethral meatus.